The energy source reserved for strenuous muscular activity
1. Protein
2. Triacylglycerol
3. Liver glycogen
4. Muscle glycogen

Correct answer: 4. Muscle glycogen

Explanation: Muscle glycogen is used for energy during exercise. The glycogen is degraded to a form of glucose that can enter metabolic pathways for energy generation. Because exercise is strenuous, muscle requires large amounts of energy, and this can be generated at the fastest rate by converting muscle glycogen to pathway precursors within the muscle. Liver glycogen will produce glucose that enters the circulation. Once in the circulation, the muscle can take up that glucose and use it to generate energy; however, the rate of energy generation from liver-derived glucose is much slower than that from muscle-derived glucose.